Feature of shock lung is:
1. Diffuse alveolar damage
2. Usual interstitial pneumonitis
3. Organizing pneumonia
4. Bronchilolitis

Correct answer: 1. Diffuse alveolar damage

Explanation: . Diffuse alveolar damage